Which of the following drug is not used for management of acute pulmonary edema?
1. Norepinephrine
2. Dopamine
3. Dobutamine
4. Phenylephrine

Correct answer: 4. Phenylephrine

Explanation: First Line of action In management of Acute Pulmonary edema: Furosemide Morphine Oxygen Nitroglycerin IV if SBP>100 m m Hg Norepinephrine 0.5-30 pg/m in IV if if SBP< 100 m m Hg and signs of shock are present. Dopamine 5-15 pg/kg per minute if SBP< 100 mm Hg and signs of shock are present. Dobutamine 2-20 pg/kg/minute IV if SBP 70-100 mm Hg and no Signs of shock are present.